For thoracocentesis needle should be inserted along?
1. lower border of upper rib
2. upper border of lower rib
3. sternum
4. parallel to the rib

Correct answer: 2. upper border of lower rib

Explanation: Nerve ,artery, veins are present along lower border of upper rib hence during pleural tap needle tip is inserted along the upper border of lower rib to avoid injury to vital structures